Doughy skin and woody induration of tongue is seen in?
1. Hypernatremia
2. Hyponatremia
3. Hypokalemia
4. Hyperkalemia

Correct answer: 1. Hypernatremia

Explanation: Ans. is 'a' i.e., Hypernatremia